UAC to UAG
1. Nonsense mutation
2. Frameshift mutation
3. Deletion
4. Missense mutation

Correct answer: 1. Nonsense mutation

Explanation: UAC, a tyrosine can be mutated to a termination codon, UAA or UAG. This leads to premature termination of the protein, and so functional activity may be destroyed. This process is called nonsense or terminator codon mutation. Frameshift mutation is due to addition or deletion of bases. Missense mutation is due to a change in amino acid may be produced in the protein. These are the effects of mutation, whereas deletion, substitution, insertion are classification of mutation.Ref: DM Vasudevan - Textbook of Biochemistry, 7th edition, page no: 613